Actin is attached to z line by
1. Titin
2. Alfa actinin
3. Both
4. None

Correct answer: 2. Alfa actinin

Explanation: Actin filament is attached to z line by alfa actinin Ref:Guyton and Hall textbook of medical physiology 12th edition,page number: 86,87